The most common site of basal cell carcinoma of the lids is:
1. Upper lid
2. Lower lid
3. Medial canthus
4. Lateral canthus

Correct answer: 2. Lower lid

Explanation: Ans. Lower lid